Best indicator of availability,utilisation & effectiveness of health services-
1. IMR
2. MMR
3. Hospital bed OCR
4. DALY

Correct answer: 1. IMR

Explanation: Ans. is 'a' i.e., IMR